Early cord clamping is indicated in all except:
1. HIV positive females
2. Birth asphyxia
3. IUGR
4. Cord avulsion

Correct answer: 1. HIV positive females

Explanation: Ans. is a, i.e. HIV positive femalesIndications of early cord clampingMaternal or fetal instability - if either needs resuscitationIUGR baby with abnormal Doppler evaluationKnown heart disease in babyIf cord is avulsed